A 10 years old female patient diagnosed as a case of
down's syndrome having mosaicism variety.

The syndrome is usually associated with
1. Congenital heart lesions
2. Respiratory disorders
3. Endocrinal abnormalities
4. Cleft lip and Palate

Correct answer: 1. Congenital heart lesions